Most common site for cystic Hygroma is -
1. Lower third of neck
2. Overlying the parotid gland
3. Along the Zygomatic Prominence
4. Post auricular

Correct answer: 1. Lower third of neck

Explanation: Ans. is 'a' i.e., Lower third of neck Neck MassMassSiteBranchial cystAnterior border of sternocleidomastoidThyroglossal cystMedian neckCystic HygromaPosterior triangle (lower third)Carotid Body TumourAnterior Triangle